Damage to RBC resulting in their lysis, increases which isoenzyme in blood?
1. LDH-1
2. LDH-3
3. LDH-4
4. LDH-5

Correct answer: 1. LDH-1

Explanation: LDH 1 is pre-dominantly present in RBCs and smooth muscle of heart, thus when RBCs are damaged, LDH1 is raised.